Which of the following is an example of Subcortical dementia?
1. Alzheimer's disease
2. Creuzfeldt - Jakob disease
3. Huntington's disease
4. Frontotemporal Dementia

Correct answer: 3. Huntington's disease

Explanation: Huntington's disease affects basal ganglia & hence comes under the class of Subcortical dementia.